Patient presented with diarrhoea, poor appetite and malabsorption. His duodenal biopsy was taken which showed crypt hyperplasia, villi atrophy and infiltration of CD8+ T cells in the epithelium. what is the likely diagnosis of the patient ?
1. Environmental enteropathy
2. Celiac disease
3. Whipple disease
4. Pancreatitis

Correct answer: 2. Celiac disease

Explanation: Celiac disease is caused by sensitivity to gluten in cereal products. C/F include weight loss, weakness, and diarrhea with pale, bulky, frothy, foul-smelling stools. In children, it is also characterized by growth retardation and general failure to thrive. It is more common in patients with Type I diabetes mellitius Diagnosis: by Intestinal biopsy - Other malabsorption syndromes include tropical sprue, Whipple disease, disaccharidase deficiency, abetalipoproteinemia, and intestinal lymphangiectasia.